Complicated cataract is associated with:
1. Uveitis
2. Retinitis pigmentosa
3. Degenerative myopia
4. All of the above

Correct answer: 4. All of the above

Explanation: Ans. D i.e. All of the above Cataract Systemic causes of cataract: - HTN, - Smoking, - DM MC cataract in adults: Cortical cataract Complicated cataract: Characteristic sign is polychromatic lusture Lamellar cataract: Associated with - Malnutrition & - Hypoparathyroidism After cataract: Nd: YAG LASER capsulotomy is done